Placental alkaline phosphatase is marker of ?
1. Theca cell tumour
2. Teratoma
3. Choriocarcinoma
4. Seminoma

Correct answer: 4. Seminoma

Explanation: Answer is 'd' i.e. Seminoma Placental alkaline phosphatase is a marker of seminoma. Also know Gamma-glutamyl-transpeptidase is marker of --> seminoma testis AFP is not produced by --> seminomas and Choriocarcinomas